The respiratory chain is found in which sub cellular compartment?
1. Cytosol
2. Endoplasmic reticulum
3. Golgi
4. Mitochondria

Correct answer: 4. Mitochondria

Explanation: Mitochondria serve as the powerhouses of the cell. In addition to having the respiratory chain and serving as the site for oxidative phosphorylation, mitochondria also contain the enzymes of the citric acid cycle and for b oxidation of fatty acids.